Enzyme deficient in occulocutaneous albinism type 1 is ?
1. Tyrosinase
2. Pink protein
3. Tyrosinase related protein 1
4. Membrane associated transport protein (MATP)

Correct answer: 1. Tyrosinase

Explanation: Ans. is 'a' i.e., Tyrosinase